Salivary gland stone is most common in which salivary gland?
1. Parotid gland
2. Submandibular gland
3. Sublingual gland
4. Minor salivary gland

Correct answer: 2. Submandibular gland

Explanation: Ans is 'b' i.e., Submandibular gland * Eighty per cent of all salivary stones occur in the submandibular glands because their secretions are highly viscous.* Eighty per cent of submandibular stones are radio-opaque and can be identified on plain radiography